In anterior teeth 'rests' are ideally prepared and located
on
1. Incisal edges
2. Lingual surfaces
3. Mesial surfaces
4. Distal surfaces

Correct answer: 2. Lingual surfaces